Which of the following investment material can be heated up to 1200 degrees centigrade?
1. Gypsum bonded
2. Phosphate bonded
3. Silica bonded
4. All of the above

Correct answer: 3. Silica bonded

Explanation: When the ethyl silicate–bonded investment is heated to a sufficiently high temperature, some silica converts to quartz and provides added expansion. This type of investment can be heated to between 1090 °C and 1180 °C and is compatible with the higher-fusing alloys. 
Note- Phosphate bonded investment is heated upto 1050 °C.
Closest answer is silica bonded investment materials.
Phillip's Dental Materials ed 12 pg 226